The progesterone component of OCP acts by:
1. Preventing ovulation
2. Inhibiting implantation
3. Bringing about alterations in cervical mucus
4. All of the above

Correct answer: 4. All of the above

Explanation: Ans. is d, i.e. All of the aboveRef: SK Chaudhary 7th/ed, p125-126,14Actions of the progesterone component of combined oral contraceptives:* Suppresses ovulation by its inhibitory action on the pituitary and the hypothalamus. This is predominantly achieved by estrogens but even by progesterone.* Causes atrophic changes in the endometrium and prevents nidation even if fertilization occurs.* Acts on the cervical mucus, making it thick and tenacious and impenetrable by sperms.The third-generation progestogens have a higher affinity for progesterone receptor and have a role in inhibiting ovulation.The main function of progestogens in combined pills is, to counteract the undesirable effects of estrogen such as endometrial hyperplasia and heavy withdrawal bleeding.